The diagnosis of congenital megacolon is confirmed by
1. Clinical features
2. Barium enema
3. Rectal biopsy
4. Recto-sigmoidoscopy

Correct answer: 3. Rectal biopsy

Explanation: -Biopsy from all three zones to study the ganglions and hypertrophic nerve terminals in spasmodic segment. Starting from 2 cm above the dentate line, a full thickness rectal biopsy is ideal. * Barium enema is done to look for the extent of disease and three zones. Foley's catheter should not be used while doing barium enema in case of Hirschsprung's disease * Anorectal manometry--shows the absence of rectoanal reflex in Hirschsprung's disease, which is diagnostic. * Acetylcholine esterase staining shows hypertrophied nerve bundles. ref:SRB 's manual of surgery,ed 3,pg no-819